10 month old child can not do -
1. Change cube from one hand to another
2. Can build a cube of six
3. Can pull and stand
4. All

Correct answer: 2. Can build a cube of six

Explanation: Ans. is 'b' i.e., Can build a cube of six o A child can transfer the objects from one hand to another by 5-7 months. o A child can build a tower of 6 cubes by 21 months ( see above question). o A child can pull himself up by the age of 10 months. o A child makes a simple sentence first time by the age of 2 years. o Pincer grasp develops by 9 months.